Lymphogranuloma venerum is characterised by all except
1. Primary lesions heal without scarring
2. Commonly develop systemic infection
3. Metronidazole is effective treatment
4. Groove sign is seen characteristically

Correct answer: 3. Metronidazole is effective treatment

Explanation: Doxycycline or erythromycin is used for treatment of LGV.